Scarring alopecia is seen in:
1. T. capitis
2. Androgenic alopecia
3. Alopecia areata
4. Lichen planus

Correct answer: 4. Lichen planus

Explanation: D i.e. Lichen planus